The most common opportunistic infection observed in patients with AIDS is -
1. Atypical mycobacteria
2. Haemophilus influenzae
3. Pseudomonas aerugiosa
4. Pneumocystis carinii

Correct answer: 4. Pneumocystis carinii

Explanation: The symptoms of PCP include Fever Cough Difficulty breathing Chest pain Chills Fatigue (tiredness) In people with HIV/AIDS, PCP symptoms usually develop over several weeks and include a mild fever. In people who have weakened immune systems for reasons other than HIV/AIDS, PCP symptoms usually develop over a few days, often with a high fever. Ref Harrison20th edition pg 1078